From which of the following routes, absorption of local anaesthetic is maximum ?
1. Intercostal
2. Epidural
3. Brachial
4. Caudal

Correct answer: 1. Intercostal